A patient is brought with the history of intentionally consuming nail polish remover. Which of the following poisoning can be suspected?
1. Aniline
2. Turpentine
3. Sodium hypochlorite
4. Acetone

Correct answer: 4. Acetone

Explanation: Common household poisons & toxic preparations : Nail polish removers Acetone Suntan lotions Denatured alcohol; methyl salicylate Moth balls Naphthalene Marking ink Aniline Ink remover sodium hypochlorite 0.5 % Fluorescent lamps beryllium Furniture polish Turpentine; petroleum hydrocarbons Paint remover Sodium hydroxide; lead acetate Shoe polish Aniline; nitrobenzene Crayons (wax) Para-nitroaniline.